Tizanidine has action on:
1. Alpha adrenergic
2. GABA A action
3. Gaba B action
4. Beta adrenergic

Correct answer: 1. Alpha adrenergic

Explanation: Ans. a. Alpha adrenergicRef: Goodman Gilman 13th E/P203Alpha-2 AgonistsClonidineDexmedetomidineLofexidineMethyldopaTizanidineGuanfacineGuanabenzMoxonidineApraclonidineBrimonidine